A thin, emaciated 25-year-old male presents with purple plaques and nodules on his face and arms, coughing, and shortness of breath. In order to diagnose the cause of his problems most efficiently, you would order which one of the following types of tests?
1. Southern blot
2. Northern blot
3. Western blot
4. Sanger technique

Correct answer: 3. Western blot

Explanation: The patient has Kaposi sarcoma and AIDS. The causative agent is HIV, an RNA virus. The Western blot technique is used to identify whether a specific blood sample contains antibodies that will bind to HIV-specific proteins. The HIV proteins are run through a gel, transferred to filter paper, and probed using the sera from the patient. If the patient has antibodies to the HIV proteins, then a positive result will be obtained. A Southern blot is used to identify the DNA, and in this case it is easier to check for the presence of anti-HIV antibodies in the patient's sera. A Northern blot would check for viral RNA, but it is more efficient, and reliable, because of the low levels of viral RNA, to check for anti-HIV proteins instead. The Sanger technique identifies a portion of the DNA chain by sequencing the bases in the DNA and is not used for determining the HIV status. A Southwestern blot is used to detect DNA binding to proteins and would not be applicable for AIDS testing.